Tzank smear is for -
1. HZV
2. Psittacosis
3. Cryptococcus
4. Ricketssia

Correct answer: 1. HZV

Explanation: Ans is 'a' i.e., HZV o Tzank smear is done for vesiculobullous disorders.Tzank smear findings in bullous disordersDisordersFindingso PemphigusAcantholysiso Bullous pemphigoidPredominantly eosinophilso Varicella-zoster infectionMultinucleated giant cellso Herpes simpex infectionMultinucleated giant cellso Toxic epidermal necrolysisNecrotic cells